Which one of the following is the function of lysosome?
1. Autophagy
2. Autolysis
3. Digestion
4. All

Correct answer: 4. All

Explanation: Lysosomes has all the three functions ie. autophagy, autolysis and digestion